Not seen in small for date babies ?
1. Hypoglcemia
2. Polycythemia
3. Intracranial bleed
4. Hypocalcemia

Correct answer: 3. Intracranial bleed

Explanation: By definition, at least 10% of all newborns will be labeled SGA. Not all newborns that are SGA are pathologically growth restricted and, in fact, may be constitutionally small. However, the designation has prognostic importance because it predicts susceptibility to hypoglycemia, hypothermia, and polycythemia. If small for gestational age babies have been the subject of intrauterine growth restriction (IUGR), formerly known as intrauterine growth retardation,the term SGA associated with IUGR is used. Intrauterine growth restriction (IUGR) refers to a condition in which a fetus is unable to achieve its genetically determined potential size. This functional definition seeks to identify a population of fetuses at risk for modifiable but otherwise poor outcomes. This definition intentionally excludes fetuses that are small for gestational age (SGA) but are not pathologically small.Infants born SGA with severe short stature (or severe SGA) are defined as having a length less than 2.5 standard deviation scores below the mean. Reference: GHAI Essential pediatrics, 8th edition